In a study in the UK, an association was found between the sale of antiarrhythmic drug and an increase in deaths due to asthma. This is an example of
1. Ecological study
2. Cohort study
3. Case reference study
4. Experimental study

Correct answer: 1. Ecological study

Explanation: Ans. is 'a' i.e. Ecological study Repeat May 08 www. ucel ac. uk. rlos/specs/rlo_observational_study. doc; http.//cancersupportivecare. com/epidemiology.html] For explanation see May 08